In which phase post marketing surveillance is done:
1. Phase I
2. Phase II
3. Phase III
4. Phase IV

Correct answer: 4. Phase IV

Explanation: Ans. D. Phase IVPhase - 1 first in human. Done for toxicity and pharmacokinetic studies. Phase - 2 mainly done for safety and efficacy. Phase- 3 done on large number of patients detecting the efficacy. Phase -4 is post marketing surveillance done which detect the rare side effects which were not detected in above phases.